In cytochrome P450, P stands for
1. Structural proteins
2. Substrate protein
3. Pigment
4. Polymer

Correct answer: 3. Pigment

Explanation: Molecular oxygen is incorporated into a variety of substrates by enzymes designated as oxygenases; many drugs, pollutants, and chemical carcinogens (xenobiotics) are metabolized by enzymes of this class, known as the cytochrome P450 systemCytochromes P450 Are Monooxygenases Important in Steroid Metabolism & for the Detoxification of Many DrugsReaction and also works together with cytochromes P450 in drug detoxificationRef: Harper's biochemistry text, 30th edition, biological oxidation